Deformity with decreased carrying angle is -
1. Cubitus varus
2. Mannus varus
3. Cubitus valgus
4. Mannus valgus

Correct answer: 1. Cubitus varus

Explanation: Ans. is 'a' i.e., Cubitus varus Carrying angle:* Angle between long axis of arm and forearm is called carrying angle.* It is measured with the elbow in full extention.* Angle is more in females because of lower level of trochlea in female. Normal value is 5-15deg.* Cubitus Varus develops with is reduced carrying angle and cubitus valgus is increased carrying angle.* Varus - distal part towards midline and valgus is distal part away from midline.